Cytosolic Cytochrome C mediates
1. Apoptosis
2. Electron transport
3. Krebs cycle
4. Glycolysis

Correct answer: 1. Apoptosis

Explanation: A i.e. Apoptosis Cytochrome C has two very opposite roles. Within the mitochondrial membrane it serves as electron carrier in oxidative phosphorylation. But when it leaks out into cytosol it combines with Apaf I and activates caspase-9 to mediate apoptosisQ. This dual functioning is known as moonlighting.